MIBG(metaiodobenzyl guanithidine] is analogue to :
1. Epinephrine
2. Adenine
3. Norepinephrine
4. Guanine

Correct answer: 3. Norepinephrine

Explanation: Ans: C (Norepinephrine) "As an analogue of adrenergic neurotransmitter norepinephrine (NE), metaiodobenzylguanidine (MiBG) demonstrates high uptake both in normal sympathetically innervated tissues, such as the heart and salivary glands, and in tumors that express the NE transporter (NET), specifically those of neural crest and neuroendocrine origin"- http://www. ncbi.nlm.nih.gov/"Pheochromocytoma can be localized using radioactive tracers including 131I- or 123I-metaiodobenzylguanidine (MIBG), 111In- somatostatin analogues, or 18F-dopa (or dopamine) positron- emission tomography (PET). Because these agents exhibit selective uptake in paragangliomas, nuclear imaging is particularly useful in the hereditary syndromes"